Steroids are indicated in all of the following forms of tuberculosis except.
1. Meningitis
2. Pericarditis
3. Ileo-caecal tuberculosis
4. Adrenal involvement

Correct answer: 3. Ileo-caecal tuberculosis

Explanation: Ans. (C) Ileo-caecal tuberculosis(Ref: Katzung 10/e p1263; KDT 8/e p319)*If used in intestinal tuberculosis, steroids can result in silent perforation, therefore are contra-indicated in ileo-caecal tuberculosis.